Following A, a patient suffered splenic ruture. His BP is 90/60 mmHg, PR 126/min and Sp02 92%. Induction agent of choice is
1. Remifentanyl
2. Halothane
3. Midazolam
4. Etomidate

Correct answer: 4. Etomidate

Explanation: D i.e. Etomidate Ketamine and etomidate are most commonly used induction agents for (non head injury) trauma patientsQ. Ketamine is beneficial in patients with acute hypovolemic shock (d/t indirect sympathetic stimulatory effects). Whereas etomidate provides greater cardiovascular stability (ie no or minimal effects on myocardial contractility, cardiac output and cardiovascular system, mild reduction in peripheral vascular resistance and BP, and no histamine release).